Hypokalemia is seen with -a) Frusemideb) Cortisolc) Amilorided) Addison's disease
1. ac
2. a
3. ad
4. ab

Correct answer: 4. ab

Explanation: Cortisol at high doses may exert certain mineralocorticoid activity leading to increased retention of sodium and water and increased, excretion of potassium. This leads to hypernatremia and hypokalemia.
Furosemide is a loop diuretic that causes increased excretion of potassium leading to hypokalemia.

About other options.

Amiloride is a potassium sparing diuretic and produces hyperkalemia.
Manifestations of Addison's disease occurs primarily due to mineralocorticoid deficiency.